A 28 year old male is brought to you for issual of a potency certificate. On examination the external genitalia is normal. Which of the following is the optimal statement that can be given in this scenario?
1. The person may or maynot be impotent
2. The person may or may not be potent
3. There is nothing to suggest that the person is incapable of sexual intercourse
4. The person is potent

Correct answer: 3. There is nothing to suggest that the person is incapable of sexual intercourse

Explanation: An opinion of impotency or diminished potency can be given only in the presence of marked deviation from the normal. People with normal external genitals can not be said to be impotent. In this scenario it is optimal to give the opinion in negative form as potency or impotency is largely inferential. Ref: Textbook of Forensic Medicine and Toxicology by Narayan Reddy, Edition 21, Page - 323